Elements of primary health care include all except:
1. Safe water supply and sanitation
2. Treatment of common illness and injury
3. Essential Drugs
4. Referral services

Correct answer: 4. Referral services

Explanation: Elements of Primary Health Care: 
E - Health Education (health problem & control). 
L - Locally Endemic disease (prevention & control). 
E - Essential drugs. 
M - MCH (Maternal & Child Health) including FP. 
E - EPI (Immunization against 6 Vaccine Preventable Diseases). 
N - Nutrition/ food supply. 
T - Treatment of common illness & injury. 
S - Safe water supply & Sanitation.